Uteroplacental blood flow at term is:
1. 300-500 mL/min
2. 500-700 mL/min
3. 700-900 mL/min
4. 900-1100 mL/min

Correct answer: 2. 500-700 mL/min

Explanation: Ans. is b, i.e. 500-700 mL/minRef. Williams Obs. 25/e, p 132"Using ultrasound to study the uterine arteries, utero placental blood flow has been measured to increase progressively during pregnancy from approximately 450 mL/min in mid trimester to nearly 500-750 mL/min at 36 weeks"